An inexpensive and efficient method of sewage disposal for a small community is –
1. River outfall
2. Oxidation pond
3. Trickling filter
4. Activated sludge

Correct answer: 2. Oxidation pond